Horizontal semicircular canal is
1. Anterior
2. Superior
3. Posterior
4. Lateral

Correct answer: 4. Lateral

Explanation: D i.e Lateral